Endometrial biopsy is done in which phase of menstrual cycle :
1. 5 - 7 days
2. 12 - 14 days
3. 18 - 20 days
4. 22 - 24 days

Correct answer: 4. 22 - 24 days

Explanation: 22 - 24 days